All of the following are true about Chickenpox except:
1. Incubation period can range from 10-21 days.
2. Subclinical varicella is rare
3. Simultaneous presence of lesions in various stages of evolution is characteristic
4. Umbilicated vesicles are the earliest lesions to appear

Correct answer: 4. Umbilicated vesicles are the earliest lesions to appear

Explanation: d. Umbilicated vesicles are the earliest lesions to appear(Ref: Nelson 20/e p1580-1581)Initial exanthem in Chicken pox consists of pruritic erythematous macules that evolve through papular stage to form clear, fluid- filled vesicles. Clouding & umbilication of the lesions begin in 24-48 hr.Simultaneous presence of lesions in various stages of evolution is characteristic of varicella.Distribution of rash is predominantly centripetal with greatest concentration on trunk.